Which of the following is a Channelopathy
1. Ataxia Telangiectasia
2. Frederich Ataxia
3. Spinocerebellar ataxia
4. Anderson Tawil Syndrome

Correct answer: 4. Anderson Tawil Syndrome

Explanation: Ans. is 'd' i.e., Anderson